The presence of lutein cysts in vesicular mole is due to excess :
1. FSH
2. LH
3. Oestrogen
4. HCG

Correct answer: 4. HCG

Explanation: HCG